Which of the following is fastest calcium lowering agents
1. Calcitonin
2. Plicamycin
3. Etidronate
4. Zoledronate

Correct answer: 1. Calcitonin

Explanation: Refer CMDT 2010/801 Bisphoshonates are the treatment of choice for hypercalcemia of malignancy but require 48-72 hours before reaching full therapeutic effect Calcitonin may be helpful to treat hypercalcemia before the onset of action of bisphoshonates